A gnatho dynamometer is used to record:
1. Biting force
2. Centric relation
3. Vertical dimensions
4. FH plane

Correct answer: 1. Biting force